Foramen ovale transmit all except
1. Emissary vein
2. Mandibullar nerve
3. Lesser petrosal nerve
4. Middle meningeala rtery

Correct answer: 4. Middle meningeala rtery

Explanation: The structures passing through foramen ovale are: Mandibular nerve Accessory meningeal artery Lesser petrosal nerve Emissary vein connecting cavernous sinus with pterygoid plexus Ref.BDC volume 3,sixth edition pg 56